Transport of two substances in same direction is called as?
1. Symport
2. Antiport
3. Exocytosis
4. Pinocytosis

Correct answer: 1. Symport

Explanation: ANSWER: (A) SymportREF: Guyton's physiology 22nd ed page 54- 55, Ganong's physiology 22nd ed chapter 1CotransportWhen the transported molecule and cotransported ion move in the same direction, the process is called Symport; when they move in opposite directions, the process is called Antiport UniporterSynporterAntiporter